Regarding calculation of stroke volume, NOT true is
1. SV = EF x EDV
2. SV = EF x CO
3. SV = CO/ HR
4. None of the above

Correct answer: 2. SV = EF x CO

Explanation: Ans: b (SV = EF x CO) Ref: Ganong 22nd ed/p.570, 571Stroke volume (S V) = Amount of blood pumped out of each ventricle per heart beat = 70ml (approx)Ejection fraction (EF) = the percent of end diastolic ventricular volume that is ejected with each stroke or beat. Stroke volume is the volume ejected per beat and EDV is the volume present in the ventricle at the end of diastole. So, the % of volume ejected (EF),EF = SV----EDVx 100 =65% approx.Cardiac output (CO) = volume of blood pumped out of heart per unit time.CO = SV x HR = 5L/min approx.Cardiac index (Cl) = the output per minute per square metre of body surface.Cl = CO----BSA= 3.2L/min/m2(BSA= Body surface area)'